Urgent reversal of warfarin induced bleeding can be done by the administration of
1. Cryoprecipitate
2. Platelet concentrates
3. Fresh frozen plasma
4. Packed red blood cells

Correct answer: 3. Fresh frozen plasma

Explanation: Fresh frozen plasma contains clotting factors . Hence given immediately in warfarin induced bleeding. From essential of medical pharmacology K D Tripati 7th edition Page no 620